Lymphatics are found in -
1. Brain
2. Choroid
3. Internal ear
4. Dermis of skin

Correct answer: 4. Dermis of skin